Which of these structures appears radiopaque?
1. Maxillary sinus
2. Nasal fossa
3. Nasal septum
4. Mental foramen

Correct answer: 3. Nasal septum

Explanation: Radiopaque refers to that portion of the radiograph that appears light or white. Radiopaque structures are dense and absorb or resist the passage of the X-ray beam, E.g., Enamel, dentin and bone.
Nasal septum
On the panoramic radiograph, it appears as a vertical radiopaque partition that divides the nasal cavity.
Reference: Freny R Karjodkar Oral Radiology Principles and Interpretation 2nd  edition page no 251